Probenecid
1. Does not decrease the renal excretion of pencillin
2. Does decrease the renal excretion of pencillin
3. Has no effect
4. At high doses increases and at low doses decreases

Correct answer: 2. Does decrease the renal excretion of pencillin

Explanation: Does decrease the renal excretion of pencillin